Which of the following represents a "Web Based Programme for monitoring Tuberculosis?
1. NIKSHAY
2. NISCHAY
3. DOTS
4. RNTCP

Correct answer: 1. NIKSHAY

Explanation: NIKSHAY : TB surveillance using case based web based IT system. Central TB Division in collaboration with National Informatics Centre has undertaken the initiative to develop a case based web based application named Nikshay. The word is combination of two Hindi words NI and KSHAY, meaning eradication of TB. Ref:- park; pg num:- 460